Voluntary movement of eye ball is controlled by
1. Superior colliculus
2. Frontal eye field
3. Cerebellum
4. Visual cortex area

Correct answer: 2. Frontal eye field